A 20-year-old man is suspected of acute stimulant intoxication. His symptoms are most likely to resemble which of the following conditions?
1. Alcohol intoxication
2. Antisocial personality disorder
3. Mania
4. Obsessive-compulsive disorder

Correct answer: 3. Mania

Explanation: Intoxication of stimulants like cocaine or amphetamine can include hyperawareness, hypersexuality, hypervigilance, agitation, paranoia, and delusions. It resembles mania or psychosis.